20-year-old female presents with a cystic swelling in the neck- It moves up with protrusion of tongue.
1. Thyroid swelling
2. TG cyst
3. Sublingual gland swelling
4. Ranula- plunging

Correct answer: 2. TG cyst

Explanation: Ans. (b) TG cyst* Thyroglossal cyst moves with protrusion of tongue* Other swellings which move only with deglutition are - Subhyoid bursitis, Midline Dermoid cyst and Thyroid swelling.